Teardrop tracing is obtained while recording:
1. Chewing cycle.
2. Protrusion.
3. Retrusion.
4. All of the above.

Correct answer: 1. Chewing cycle.